Simple Basal media is?
1. Simple nutrient agar
2. Alkaline peptone water
3. Glucose broth
4. Blood agar

Correct answer: 1. Simple nutrient agar

Explanation: Ans. is 'a' i.e., Simple nutrient agar A culture medium is a liquid or gel designed to support the growth of microorganism or cell. A culture medium may be liquid or solid. A culture medium may be? i) Basal (Simple) media This is simple with no added ingredients. It may be liquid ( peptone water) or solid (Nutrient agar). ii) Special (Complex) media These have added ingredients for special purpose or for bringing out certain characteristics or providing special nutrients required for the growth of the bacterium under study. It may be liquid (enrichment media) or solid (selective media). About option b Peptone water (simple peptone water) is a simple media, but not alkaline peptone water as it has added ingradient to make it alkaline.